Chain of lakes appearance seen in -
1. Acute pancreatitis
2. Chronic pancreatitis
3. Carcinoma pancreas
4. Strawberry gall bladder

Correct answer: 2. Chronic pancreatitis